Topoisomers are DNA form that differ in
1. GC content
2. Melting temperature
3. Coding region
4. Linking number

Correct answer: 4. Linking number

Explanation: Topoisomers are DNA form that differ in linking number Linking number Number of times one strand of DNA has to be passed through the other strand to separate both the strands completely. Its an integer for a closed circular DNA. Topoisomers are DNA forms that differ in their linking number. Topoisomerases are the enzymes which can change the linking number of DNA. Histones H2A, H2B, H3 and H4 are known as the core histones, while histones H1/H5 are known as the linker histones